Test for RNA:-
1. Northern blot
2. Southern blot
3. Immuno blot
4. South-Western blot

Correct answer: 1. Northern blot

Explanation: Northern Blotting detects RNA. Northern blot - RNA Southern blot- DNA Western blot- Proteins See treasure for details